Psychoanalysis was started by ?
1. Eugen Bleuler
2. Sigmund Freud
3. Bleuler
4. Erikson

Correct answer: 2. Sigmund Freud

Explanation: Ans. is 'b' i.e., Sigmund freud Name Contribution Sigmund Freud Psychoanalysis, free association, (oedipus & electra complex), cocaine in psychiatry, Repression, ego-defence mechanisms, phsychodynamic theory. Phillippe Pinel Moral and humane treatment of mentally ill Jones Maxwell Propagated therapeutic community concept. Kuble Ross Erik Classified five stages of death. Erikson Divided life cycle in 8 stages